Which of the following statement regarding Oncotype diagnosis test is not false ?
1. Hormone receptor-negative cancers
2. 21 oncotype-gene assay
3. Predicts the use add on hormonal therapy
4. For lymph node +ve cancers

Correct answer: 2. 21 oncotype-gene assay

Explanation: Oncotype Dx -21 oncotype-gene assay -Aim : To guide chemotherapy decisions among women with: Lymph node-negative Hormone receptor positive HER2-negative breast cancer Multi gene tests are used clinically to predict recurrence and guide adjuvant chemotherapy decisions: Oncotype Dx PAMSO Mamma Print